Which of the following is a debranching enzyme ?
1. Glycogen synthetase
2. Glucose-6-phosphatase
3. Amylo (1,6) glucosidase
4. Amylo 1,4, -1 , 6 transglycosylase

Correct answer: 3. Amylo (1,6) glucosidase

Explanation: C i.e. Amylo 1, 6 glucosidase